Chemotheraputic drugs can cause
1. Only necrosis
2. Only apoptosis
3. Both necrosis and apoptosis
4. Anoikis

Correct answer: 3. Both necrosis and apoptosis

Explanation: Ref Harrison 17/e p519; 9/e p303;315 Chemotheraputic drugs can cause both necrosis and apoptosis , but it is apoptosis which is the basis of action of chemotheraputic drugs anoikis refers to death of epithelial cells after removal from the normal milieu of substrate.particularly from cell to cell contact